All of the following are poor prognostic factors in Multiple Myeloma, Except:
1. Azotemia
2. Hypocalcemia
3. LDH
4. High M component production

Correct answer: 2. Hypocalcemia

Explanation: Answer is B (Hypocalcemia) Hypercalcemia is associated with a poor prognosis in Multiple Myeloma and not hypocalcemia. Azotemia (1 creatinine), T LDH, Chromosome 13q deletion and High M component production are all established poor prognostic factors. Poor prognostic factors in Multiple Myeloma Stage Related Factors Stage III disease : High Tumor Burder Hb < 8.5 g/d1 Hypercalcemia (Ca > 12 mg/dl) Advanced Lytic bine lesions High M component production IgG > 7g/di IgA > 5g/dl Urine light chains > 12g/24 hrs Subclassification based on serum creatinine levels Serum creatinine > 2 mg/dl Independent factors b2 microglobulin (single most important factor) | Serum albumin | LDH | labeling index (%age of cells undergoing mitosis) | CRP or IL6 THepatocyte growth factor, TGF ((3) or syndecan - 1 Plasmoblastic morphology Genetic Abnormalities -Hyperploidy - Chromosome 13 deletion (and chromosome 17 p deletion) - t(4; 14), t(14; 16), t(11; 4) translocation - RAS & P53 mutations.